Clavate macroconidia are characteristic of which one of the following fungi?
1. E. floccosum
2. C. immitis
3. P. verrucosa
4. M. canis

Correct answer: 1. E. floccosum

Explanation: Microscopic examination of fungal isolates is essential to the identification of the organism. Macroscopically, the colonies of Epidermophyton have a yellowish appearance. This fungus invades skin and nails but never hair. On microscopic examination, clavate or paddle-shaped macroconidia are evident with rounded ends and smooth walls. Microconidia are absent.